Cause of unilateral clubbing include all the following except
1. Congenital cyanotic heart disease
2. Panicoast tumor
3. Aortic aneurysm
4. Branchial AV fistulas

Correct answer: 1. Congenital cyanotic heart disease

Explanation: Congestive cyanotic heart disease is a causefor bilateral clubbing Ref Harrison 19th edition pg 250